Which condition is Autosomal dominant
1. Hemophilia A
2. Duchenne muscular dystrophy
3. Wilson's disease
4. Adult polycystic kidney disease

Correct answer: 4. Adult polycystic kidney disease

Explanation: Adult polycystic kidney disease → Autosomal dominant
Duchenne muscular dystrophy → X linked
Wilson's disease → Autosomal recessive (AR)
Hemophilia A → X-linked